Magenta tongue is found in the deficiency of the vitamin
1. Riboflavin
2. thiamine
3. nicotinic acid
4. pyridoxine

Correct answer: 1. Riboflavin